Which of the following metabolic abnormality is seen with long term use of loop diuretics?
1. Metabolic acidosis
2. Metabolic alkalosis
3. Hyperkalemia
4. None of the above

Correct answer: 2. Metabolic alkalosis

Explanation: By inhibiting salt reabsorption in the TAL, loop diuretics increase delivery to the collecting duct. Increased delivery leads to increased secretion of K+ and H+ by the duct, causing hypokalemic metabolic alkalosis. This toxicity is a function of the magnitude of the diuresis and can be reversed by K+ replacement and correction of hypovolemia. Ref: Katzung, 11th edition, Chapter 15.